Most important risk factor for neonatal respiratory distress syndrome –
1. Diabetic mother
2. Asphyxia
3. Prematurity
4. Twin pregnancy

Correct answer: 3. Prematurity

Explanation: Hyaline membrane disease (HAM) or respiratory distress syndrome  (RDS) 

HMD always occurs in preterm babies often less than 34 weeks of gestation.
It is the commonest cause of respiratory distress in a preterm neonate.
Predisposing factors for HMD are --> Prematurity (most important), asphyxia, acidosis, maternal diabetes, multiple birth, cesarean section delivery, cold stress and a history of previously affected infants.
Incidence is highest in preterite male and white infant.
Risk is reduced in pregnancies with pregnancy associated hypertension, maternal heroin use, prolonged rupture of membranes, and antenatal carticosteroid prophylaxis.